Bleeding time is prolonged in -
1. Von Willebrand's disease
2. Christmas disease
3. Haemophilia
4. Polycythemia

Correct answer: 1. Von Willebrand's disease